Eustachian tube opens in middle ear in-
1. floor
2. anterior wall
3. Superior wall
4. Posterior wall

Correct answer: 2. anterior wall

Explanation: 70. Ans: b. Anterior wall
(Refer: PL Dhingra, Diseases of Ear, Nose & Throat, 7th edition, pg no. 61)
Eustachian tube
 

Cylindrical channel connecting tympanic cavity & nasopharynx called Pharyngotympanic tube
Opens in the anterior wall of middle ear
Epithelium – Ciliated columnar epithelium
Length – 36 mm (Lateral 1/3 bony & Medial 2/3 fibrocartilaginous)
Position – Placed at angle of 45 ͦ with sagittal plane
Muscles of ET – Tensor palati supplied by branch of mandibular nerve & Levator palate supplied by pharyngeal plexus of 11th nerve
Neurovascular supply





Arterial supply


Venous drainage


Nerve supply




Ascending pharyngeal artery
Middle meningeal artery
Artery of pterygoid canal


Pterygoid venous plexus


Tympanic plexus